All the following form the boundaries of Calot's triangle during cholecystectomy except:
1. Inferior surface of liver
2. Cystic duct
3. Lateral border of rectus sheath
4. Common hepatic duct

Correct answer: 3. Lateral border of rectus sheath

Explanation: Ans: C (Lateral border of rectus sheath) Ref: Shackelford's Surgery of the Alimentary Tract. 7th edition. pg. 1289: Blumgart's Surgery of the Liver, Biliary Tract, and Pancreas 5th edition, pg. 513. Sabiston Textbook of Surgery, 19th Edition, pg. 14 77Explanation:Boundaries of Calofs TriangleSuperiorly - Inferior border of liverMedially - Common hepatic ductLaterally - Cystic ductContentsCystic arteryCystic lymph nodeIndications for Laparoscopic CholecystectomySymptomatic cholelithiasisBiliary colicAcute cholecystitisAsymptomatic cholelithiasisSickle cell diseaseTotal parenteral nutritionChronic immunosuppressionNo immediate access to health care facilitiesIncidental cholecystectomy for patients undergoing laparoscopic procedure for other indicationsOthersAcalculous cholecystitis (biliary dyskinesia).Gallstone pancreatitisGal Ibladder polyps greater than l cm in diameterPorcelain gallbladderContraindications to Laparoscopic Cholecystec-tomyAbsoluteUnable to tolerate general anesthesiaRefractory coagulopathySuspicion of carcinomaRelativePrevious upper abdominal surgeryCholangitisDiffuse peritonitisCirrhosis or portal hypertensionChronic obstructive pulmonary diseaseCholecvstenteric fistulaPregnancy